Container used for disposal of Human anatomical waste materials is:
1. Yellow
2. Red
3. Black
4. Blue

Correct answer: 1. Yellow